Most chemotactic property is with ?
1. C3a
2. C5a
3. C5-9
4. C3b

Correct answer: 2. C5a

Explanation: Ans. is `b' i.e., C5a C is a powerful chemotactic agent.